Sleep spindle and K complexes are seen in: (Repeat)
1. REM
2. NREM Stage II
3. NREM Stage III
4. NREM Stage IV

Correct answer: 2. NREM Stage II

Explanation: Ans: B (NREM Stage II) Ref: Pal GK, Reticular Formation, EEG and Sleep, In: Textbook of Medical Physiology', 2nd ed, Ahuja Publishing House, 2011: 119: 895-96Explanation:SleepIt is defined behaviorally by four criteriaReduced motor activityDecreased response to stimulationStereotypic postures (in humans, for example, lying down with eyes closed)Relatively easy reversibility (distinguishing it from coma, hibernation and estivation)EEG pattern repeats in every 90 minutesNon-REM phase4 stagesREM phaseLate part of night25% of total sleep periodNon-REM Sleep (Slow Wave Sleep)Stage 1Beta to alpha rhythmStage 2Amplitude increasesSleep spindle (12-14 Hz: 50 mV; for about 2 seconds) and K complexes (high amplitude)Stage 3High amplitude: low frequencyStage 4Delta rhythmAutonomic and visceral changes| heart rate and BP| body temperatureSlow regular respiration| GI activity| muscle toneNo rapid eye movementAdrenal Steroid Hormones in AdultsSteroidsAverage plasma concentration(free and bound. mg/100 ml)Average amountsecreted (mg/24 hr)GlucocorticoidactivityMineralocorticoidactivityAdrenal Steroids Cortisol12151.01.0Corticosterone0.430.315.0Aldosterone0.0060.150.33000Deoxycorticosterone0.0060.20.2100Dehydroepiandrosterone17520--Paradoxical sleep (REM Sleep)* FeaturesRapid eye movementsEECdeg High frequency; low voltage rhythmdeg PGO spikes (Ponto-Geniculo- Occipital)Difficult to arouse; likely to wakeup spontaneouslyDream is remembered| sympathetic system (| HR. BP. Respiration)Penile erectionDecreased muscle tone (except extraoccular and middle ear)